All the following statements are true for rabies virus except:
1. Infection may be prevented by active and passive immunization
2. The animal reservoir differs from country to country
3. Diagnosed by DFA
4. Rabies vaccine is a live attenuated vaccine

Correct answer: 4. Rabies vaccine is a live attenuated vaccine

Explanation: Rabies vaccine is a killed vaccine. Option 1 Both active and passive immunization is recommended for grade III exposure to prevent infection. Option 2 The animal reservoir differs from country to country, in India it is dog. Rabies is a zoonotic disease. Other animal reservoirs include silver-haired bats, eastern pipistrelle, raccoons, skunks, foxes, or cats, ferrets, cattle, opossums, fowl, etc. Foxes are more infectious than dogs and other animals. Option 3 Direct fluorescent antibody test of corneal impression smear or hair follicle of nape of neck is the ideal method of antemortem diagnosis of rabies. Option 4 Rabies Vaccine: 1. Neural Vaccines: They are poorly immunogenic and encephalitogenic; hence not used. Semple vaccine: Derived from infected sheep brain BPL: Beta propiolactone derived vaccine (Prepared in Coonoor) Infant mouse brain derived vaccine 2. Non-neural Vaccines: Cell line derived, they are the recommended killed vaccine currently: Purified chick embryo cell (PCEC) Purified Vero cell (PVC) Human diploid cell (HDC).